Life expectancy as per 2015 estimate is
1. 68.3 years
2. 62.3 years
3. 58.1 years
4. 55 years

Correct answer: 1. 68.3 years

Explanation: Life expectancy at a given age is the average number of years which a person of that age may expect to live, according to the mortality pattern prevalent in that country According to estimates of 2015, the life expectancy at birth for males is 66.90years and that of females is 69.90years. So the life expectancy of population is 68.3years approximately. Reference : Park's textbook of preventive and social medicine, 23rd edition, pg no: 486,487